Nerve entrapped in pyriformis syndrome is
1. Superior gluteal nerve
2. Inferior gluteal nerve
3. Pudendal nerve
4. Sciatic nerve

Correct answer: 4. Sciatic nerve

Explanation: Entrapment of Sciatic nerve by inflamed pyriformis muscle is called as pyriformis syndrome.